Which water soluble vitamin is synthesized in our body -
1. Niacin
2. Folic acid
3. Cobalamine
4. Pyridoxine

Correct answer: 1. Niacin

Explanation: Ans. is 'a' i.e., Niacin o This question is confusing one (Read text below)o Niacin (Vitamin B3) is synthesized from tryptophan inside the bodo Some vitamins are also formed by bacterial activity in coloni) Vitamin Kii) Vitamin B12Thiamin (Vitamin Bl)iv) Riboflavin (Vitamin B2)v) Biotin (Vitamin B7)o Thus, options a, b & d all are correct here. But best answer among these is niacin as it is the only vitamin which is synthesized by proper anabolic metabolism.